True about anaplastic Ca of thyroid -a) Common in elderlyb) Surrounding neck tissues are freec) Lymphatic infiltration occursd) p53 mutation
1. acd
2. ad
3. bc
4. bde

Correct answer: 1. acd